Interstitial nephritis is seen with all except:
1. Beta lactam inhibitors
2. INH
3. Diuretics
4. Allopurinol

Correct answer: 2. INH

Explanation: Ans. is 'b' i.e. INH DRUGS CAUSING INTERSTITIAL NEPHRITISAntibioticsDiureticsAnticonvulsantsMiscellaneous* b lactams Q* Thiazide Q* Phenytoin Q* Captopril Q* Sulfonamides Q* Furosemide Q* Phenobarbitone Q* H2 receptor blockers Q. Quinolones Q* Triamterene* Carbamazepine* OmeprazoleVancomycinErythromycinMinocyclineRifampicinEthambutolAcyclovirNSAIDSQIndinavirAllopurinol* Valproic acid* Mesalazine